Contact period of chlorination ?
1. 1 hour
2. 30 minutes
3. 1 1\/2 hour
4. 2 hours

Correct answer: 1. 1 hour

Explanation: Contact period for chlorination is one hour. The presence of free residual chlorine for a contact period of one hour is necesary to kill pathogens. The residual chlorine is 0.5 mg/L.Parks textbook of preventive and social medicine.K Park. Edition 23.Pg no: 715